True statement about cyclooxygenase–2 is :
1. It is not inhibited by indomethacin
2. It is inducible
3. It generates cytoprotective prostaglandins in gastric mucosa
4. It is found only in fetal tissues

Correct answer: 2. It is inducible